All are symptoms of deep vein thrombosis except:
1. High grade fever
2. Local rise of temperature
3. Pain
4. Swelling

Correct answer: 1. High grade fever

Explanation: Ans: a (High grade fever) Ref: Bailey, 24th ed, p. 971 Box-59-8Deep vein thrombosis presents with pain and swelling of the leg. There may be slight fever. High grade fever is not mentioned as a clinical feature of DVT. If the patient has already had pulmonary embolism, he may complain of chest pain, breathlessness and haemoptysis.Clinical features of DVTa. Swellingb. Painc. Redness or no apparent signs and symptomsd. Dilated superficial veinse. Calf tendernessf. Low grade pyrexiaPhlegmasia alba dolens--swollen white leg of DVT.Phlegmasia cerulea dolens--congested bluish leg of DVT.Clinical signs:Homan's sign--Forceful passive dorsiflexion of the foot elicits calf tenderness.Mose's sign--Squeezing of relaxed calf muscles from side to side elicits tenderness.